Drugs contraindicated in pregnancy are all EXCEPT
1. Chloroquine
2. Primaquine
3. Tobramycin
4. ACE inhibitor

Correct answer: 1. Chloroquine

Explanation: Class of Drugs contraindicated in pregnancy and its safer alternativeClass of drugContraindicatedSafer alternativeAntibacterials (systemic bacterial infections)Cotrimoxazole, Fluoroquinolones(X), Tetracycline (X), Doxycycline (X), Chloramphenicol (X), Gentamicin, Streptomycin (X), Kanamycin (X), Tobramycin (X), Clarithromycin, Azithromycin, Clindamycin, Vancomycin, Nitrofurantoin,Penicillin G, Ampicillin Amoxicillin- clavulanate Cloxacillin, Piperacillin Cephalosporins ErythromycinAntitubercularPyrazinamide, Streptomycin (X)Isoniazid, Rifampicin, EthambutolAntimalarialArtemether, Artesunate Primaquine (X)Chloroquine, Mefloquine, Proguanil Quinine (only in 1st trimester), Pyrimethamine + Sulfadoxine (only single dose.)AntihypertensivesACE inhibitors (X), Angiotensin antagonists (X). Thiazide diuretics Furosemide, Propranolol NitroprussideMethyldopa, Hydralazine, Atenolol Metoprolol, Pindolol, Nifedipine Prazosin, Clonidine